Replication and transcription are similar processes in machanistic terms bacause both
1. Use RNA primers for initiation
2. Use deoxyribonucleotides as precursors
3. Are semi conserved events
4. Involve phosphodiester bond formation with elongation occurring in the 5' - 3' direction

Correct answer: 4. Involve phosphodiester bond formation with elongation occurring in the 5' - 3' direction

Explanation: In both replication & transcription processes, the elongation occurs by the formation of phosphodiester bond in 5' → 3' direction.